Which is not related to alcoholism?
1. Marchiafava syndrome
2. McEwan's sign
3. Magnan symptoms
4. Mallory Weiss syndrome

Correct answer: 3. Magnan symptoms

Explanation: - Marchiafava syndrome: Degeneration of corpus callosum - McEwan's sign: pupils dilated at early stage but contracted at later stage; if stimulation given, pupils dilate then slowly contract - Mallory Weiss syndrome - Tear in distal oesophagus - Magnan symptoms Paraesthesia which feels like a constantly moving foreign body, such as fine sand or powder, under the skin The sign is named after Valentin Magnan. Seen In cocaine abuse.